Strongest supinator muscle is -
1. Supinator
2. Biceps
3. Brachialis
4. Brachioradialis

Correct answer: 2. Biceps

Explanation: Ans. is 'b' i.e., Biceps "The biceps brachii is the strongest supinator of the forearm because of its distal attachment on the radial tuberosity "MovementMuscles causing movementPronationPronator quadratus (strong pronator). Pronator teres (Rapid pronator).SupinationSupinator (when elbow is extended), Biceps (when elbow is flexed).